Poverty line is defined as expenditure required for daily calorie consumption below (Urban):
1. 1800
2. 2000
3. 2100
4. 2200

Correct answer: 3. 2100

Explanation: Below Poverty Line criteria: (BPL) BPL Criteria Rural areas Urban Areas Per capita caloric intake <2400 Kcal/day <2100 Kcal/day Per capita income (TC) <27/- INR/day <33/- INR/day Per capita income (RC) <32/- INR/day <47/- INR/day Per capita income (WHO) <1.90 US$ per day -do- (TC: Tendulakar committe 2011-12; RC: Rangarajan Committee 2014) Below Poverty line (BPL) population in Indiaa: 22% (Tendulkar Committee 2011-12) 29.5% (Rangarajan Committe 2014) Ref: Park 25th edition Pgno: 702